Painless burn in hand is a characteristic feature of?
1. Thalamic syndrome
2. Syringomyelia
3. Cord compression
4. SLE

Correct answer: 2. Syringomyelia

Explanation: Ans is 'b' i.e. Syringomyelia * In Syringomyelia, there sensory deficit in upper extrimities in the form of loss of pain and temperature sensations with touch and vibration being intact.